True about fallopian tube is
1. It has glandular Submucosa
2. Independent of hormonal influence
3. Lined by ciliated epithelium
4. It lies in round Ligament

Correct answer: 3. Lined by ciliated epithelium

Explanation: Fallopian tube has no submucosa. It lies in upper margin of broad ligament. Epithelium is responsive to hormones.